Organism causing IV biofilm?
1. Staph epidermis
2. Acinetobacter baumannii
3. Meningococci
4. Mycobacterium

Correct answer: 1. Staph epidermis

Explanation: Ref: Harrisons, 19th ed. pg. 145e-4* Many bacterial, fungal, and protozoal species have the ability to grow in multicellular masses called biofilms.* These masses are biochemically and morphologically quite distinct from the free-living individual cells referred to as planktonic cells.* Growth in biofilms leads to altered microbial metabolism, production of extracellular virulence factors, and decreased susceptibility to antimicrobial agents, biocides, and host defense molecules and cells.* Examples of bacterial organisms forming biofilm:# P. aeruginosa, staphylococci and other pathogens growing on implanted medical devices, and dental pathogens growing on tooth surfaces to form plaque# S. epidermis - on Prosthetic valve, IV catheter# Strep Mutans/sanguinis - on Dental plaques# Pseudomonas - Cystic fibrosis, contact lens# Strep, viridans - Endocarditis# Non-typable H. influenza Otitis. Media